Most common cause of puberty menorrhagia:
1. Anovulation
2. Malignancy
3. Endometriosis
4. Bleeding disorder

Correct answer: 1. Anovulation

Explanation: Causes of Abnormal Uterine Bleeding Pregnancy Anovulation Coagulopathies Exogenous Hormones Infections Systemic or Endocrine Problems Anatomic Causes Investigations: Pregnancy testing, regardless of sexual activity Hb : Anaemia PLT : Thrombocytopenia PT & APTT : Coagulopathies VWD : Ristocetin cofactor activity & antigen, factor VIII; blood grouping and typing Thyroid functions Serum progesterone : day 22-24; 3ng/ml LFT & RFT : Suspected cases 95% abnormal uterine bleeding is due to AUB in adolescents It is due to immaturity of Hypothalamic-Pituitary-Ovarian axis leading to anovulatory cycles Reference: TEXTBOOK OF GYNAECOLOGY; SHEILA BALAKRISHNAN; 2nd edition; Page no: 51